Cubitus varus is most commonly seen in
1. Rickets
2. Post inflammatory epiphyseal damage
3. Fracture lateral condyle humerus
4. Malunited supracondylar fracture

Correct answer: 4. Malunited supracondylar fracture

Explanation: Cubitus varus deformity: This is because the fracture unites with the distal fragment tilted medially and in internal rotation. Malunion may occur either because of failure to achieve good reduction, or displacement of the fracture within the plaster. The cubitus varus deformity is often termed the Gun stock deformity Sometimes, the distal fragment unites with an excessive backward tilt, resulting in hyperextension at the elbow along with limitation of flexion - basically a change in the arc of movement at the elbow. Treatment: Cubitus varus deformity is a cosmetic problem, usually without much functional impairment. Mild deformity may not require treatment, but a badly deformed elbow should be corrected. Treatment is a supracondylar corrective osteotomy Ref: Maheshwari and Mhaskar 6e pg 102.